Patients with porphyria are highly sensitive to which wavelength :
1. 290-320 nm
2. 400-420 nm
3. 320-400 nm
4. 250-290 nm

Correct answer: 2. 400-420 nm

Explanation: Porphyrin are excited by visible light with a wavelength between 400 and 410 nm and emit an intense red fluorescence. The released energy reacts with oxygen to produce free radicals and singlet oxygen that damages tissues Mc porphyria - porphyria cutaneatarda (if- Red urine - D/D - myoglobinuria )